Pulse steroid therapy can be given in -
1. Pemphigus vulgaris
2. Acute renal allograft rejection
3. Optic neuritis
4. All the above

Correct answer: 4. All the above

Explanation: Ans. is 'd' i.e., All the above Pulse Steroid therapy* Pulse therapy means the administration of suprapharmacologic doses of drugs in an intermittent manner to enhance the therapeutic effect and reduce the side effects.* In context of corticosteroids, pulse therapy refers to discontinuous i.v. infusion of high doses of the medication, arbitrarily defined as treatment with more than 250 mg prednisone or its equivalent per day, for one or more days.* There are no guidelines on the frequency or timing of administration of the i.v. pulses; which therefore includes single boluses, daily boluses given for 3 days in a row, or on alternate days for up to 12 days.* The agent most commonly used for corticosteroid pulse therapy is methylprednisolone.Indications for high dose intravenous steroid therapySystemCommonly indicated inInfrequently used inMusculoskeletal diseasesRheumatoid arthritisJuvenile rheumatoid arthritisPsoriatic arthritisAnkylosing spondylitisCollagen vascular diseasesSystemic lupus erythematosusSystemic dermatomyomyositisSevere forms of vasculitisSystemic sclerosisKawasaki diseaseHenoch schonlein purpuraRenal diseasesSteroid resistant nephrotic syndromeCrescentic glomerulonephritisVasculitis with active nephritisAcute allograft rejectionSteroid sensitive nephrotic syndromeLupus nephritisDermatologic diseasesPemphigus vulgarisBullous dermatitis herpetiformisSevere psoriasisAlopecia totalisSevere Stevens-Johnson syndromePyoderma gangrenosumVitiligo with rapidly progressive diseaseExfoliative dermatitisOphthalmic diseasesOptic neuritisUveitis in multiple sclerosisCorneal allograft rejectionTraumatic optic neuropathyVogt - koyanagi-Harada diseasePosterior segment uveitis in behcet's diseaseHematologic disordersAcquired (autoimmune) hemolytic anemiaIdiopathic thrombocytopenic purpuraAutoimmune hemolytic anemiaAcquired aplastic anemiaNeurological diseasesAcute disseminated encephalomyelitisAcute exacerbations of multiple sclerosisMyasthenia gravis